The anterior cranial base is a suitable for superimposition
of serial cephalograms because of its
1. Anatomic configuration
2. Attachment to maxilla
3. Early cessation of growth
4. Being the most anterior aspect of the cranial base

Correct answer: 3. Early cessation of growth